Which of the following is associated with Madonna-Putana complex ?
1. Female arousal disorder
2. Male hypoactive sexual desire disorder
3. Male erectile disorder
4. Anorgasmia

Correct answer: 3. Male erectile disorder

Explanation: Madonna-Putana complex Psychogenic male erectile disorder Can be organic or psychologic or both. Inability to have arousal towards a woman , the man desires. Men have arousal only with women whom they see as degraded.